Most common benign tumours during infancy is –
1. Lymphangioma
2. Hemangioma
3. Cystic hygroma
4. Lipoma

Correct answer: 2. Hemangioma